Intention tremor is a feature of
1. Loss of function of Thalamus
2. Loss of function of Hypothalamus
3. Loss of function of Cerebellum
4. Loss of function of Basal ganglia

Correct answer: 3. Loss of function of Cerebellum